If neonatal death 450, stillb ibh 212, total live birth 12450, what is the NMR?
1. 17
2. 36
3. 64
4. 92

Correct answer: 2. 36

Explanation: Neonatal mortality rate= number of deaths of children under 28 days of age in a year/total live births*1000 =450/12450*1000 =36